Water content in lens is-
1. 64%
2. 35%
3. 1%
4. 28%

Correct answer: 1. 64%

Explanation: Water content of lens is 64%. Ref: Parson Ophthalmology 22nd/e p.261&21st/e p.256.